Bronchiectasis Sicca is seen with -
1. Tuberculosis
2. Pertussis
3. Cystic fibrosis
4. Kartagener syndrome

Correct answer: 1. Tuberculosis

Explanation: Ans. is 'a' i.e., Tuberculosis Bronchiectasis Sicca or Dry Bronchiectasis is typically associated with Tuberculosis.o Tuberculosis is associted with a type of dry bronchiectasis called Bronchiectasis Sicca, which is predominantly seen in upper lobes.o Dry Bronchiectasis (Bronchiectasis Sicca) is typically characterized by absence of copious amount of sputum which is usually a hall mark of bronchiectasis.o Dry cough associated with hemoptysis is the typical presentation.